A 3 yr. old female child presented with low grade fever, poor feeding and a rash shown below described as a 'slapped cheek ' rash. Which of the following is the predominant site of action of the above causative organism?
1. Spleen
2. Liver
3. Bone marrow
4. Nerves

Correct answer: 3. Bone marrow

Explanation: The above scenario depicts Fifth disease/Erythema infectiosum caused by parvovirus B19. It shows a characteristic slapped cheek erythematous rash The predominant site is the erythroid precursors of the bone marrow and hence parvovirus B19 is also the causative agent of APLASTIC CRISIS in sickle cell disease patients.